All are true about chronic fatigue syndrome except:
1. For diagnosis, duration of fatigue should be atleast 6 month
2. Impaired memory and concentration may present
3. Fatigue relieved by rest
4. Physical examination shows no abnormalities

Correct answer: 3. Fatigue relieved by rest

Explanation: Answer- C. Fatigue relieved by restFatigue lasts for at least 6 monthsFatigue is of new or definite onset.Fatigue is not the result of an organic disease or ofcontinuing exertionFatigue is not alleviated by rest.Fatigue symptoms are soar throat, tender cervical or axilary lymph nodes, muscle pain, pain in several joints, headaches, malaise